Which is the only non-protein member of ETC ?
1. Cytochrome c
2. CoQ
3. Complex V
4. Complex II

Correct answer: 2. CoQ

Explanation: ETC has: five protein complexes- Complex I to V two mobile electron carriers - Co Q/ubiquinone and cyt c All complexes and cytochrome c are proteins except CoQ Coenzyme Q not a protein. hydrophobic, lipophilic compound made up of isoprene units, present within the inner mitochondrial membrane. anti-oxidant Cytochrome c is the only member of ETC, not lying in IMM